A 50 year old female presents with lesions on cheek, chin and forehead. On examination the skin is erythematous, with dilated blood vessels, nodules and pustules without any comedones. What is the MOST likely diagnosis in this patient?
1. Folliculitis
2. Rosacea
3. Mild acne vulgaris
4. Acne conglobata

Correct answer: 2. Rosacea

Explanation: This patient is showing features of rosacea which is a chronic skin disorder characterized by erythema and telangiectasia, punctuated by acute episodic eruption of papules, pustules and swelling. It is especially seen on the convexities of face (cheeks, chin, forehead and nose) and spares periorbital and perioral areas. Diagnostic features of rosacea are: Middle aged women Episodes of flushing Intolerance to heat and spicy food Background of erythema and telangiectasia with episodes of papules and pustules Absence of comedones Ref: Illustrated Synopsis Of Dermatology & Sexually Transmitted Diseases (3Nd By Khanna page 105.